House classification is based on
1. Mental attitude of patient
2. Type of alveolar ridge
3. Maxilla and mandible relation
4. None of above

Correct answer: 1. Mental attitude of patient